Least common about angiodysplasia of colon:
1. Involvement of cecum
2. Involvement of rectum in 50% of cases
3. Affecting age group more than 50 years only
4. Cause of troublesome lower GI hemorrhage

Correct answer: 2. Involvement of rectum in 50% of cases

Explanation: Ans. (b) Involvement of rectum in 50% of casesRef: Sabiston 20th edition, Page 1153Angiodysplasia of colon:* Arteriovenous Malformations of bowel* Equal in both sexes* Affects age group >50 years only* Produced massive bleeding from colon in 15% and it is troublesome in diagnosing.* Bleeding stops spontaneously in most of them but recurs* Most common site is ascending colon and cecum* Least common in rectum* Treated by endoscopic coagulation or sclerosing agent or intrarterial embolization.* Surgical resection is done if not stops -- colectomy.